A community has a population of 10,000 and a birth rate of 36 per 1000. 6 maternal deaths were reported in the current year. The Maternal Mortality Rate (MMR) is:
1. 14.5
2. 16.6
3. 20
4. 5

Correct answer: 2. 16.6

Explanation: Total no.of female deaths due to complication of pregnancy, childbirth or within 42 days of delivery from puerperal causes in an area during a given year. ---------------------------------------------------------------------------------------------------- x 1000 Total no. of live births in the same area and year. 6/360 x 1000= 0.0166 x 1000 = 16.6 Ref: Park, 20th Edition, Page 479.